Feature of Acute severe Asthma include all of the following, except
1. Tachycardia > 120/min
2. Pulsus paradoxus
3. Respiratory acidosis
4. None (All are Features o Acute severe Asthma

Correct answer: 4. None (All are Features o Acute severe Asthma

Explanation: Ans. is `d' i.e., None (All are Features of Acute severe Asthma) Symptoms of acute severe Asthma Breathlessness at rest Speak in words Unable to recline Respiratory rate > 30/min Loud insiratory and expiratory wheeze Heart rate > 120 Pulsus paradoxus > 25 Mental status agitated Functional assessment:? PEF < 50 or response to therapy lasts < 2 hours Sa02 < 91 Pa02 <60 PaCO2 . 42